Most common site of Squamous cell carcinoma of the esophagus:-
1. Upper 1/3rd
2. Middle 1/3rd
3. Lower 1/3rd
4. Cardia

Correct answer: 2. Middle 1/3rd

Explanation: Ans. (b) Middle l/3rdRef: Bailey and Love 26thEdition, Page 1004* Most common site of SCC: Middle third* Most common site of adenocarcinoma: Lower third